Ondonsetron is a potent
1. Anti emetic
2. Anxiolytic
3. Analgesic
4. Anti depressants

Correct answer: 1. Anti emetic

Explanation: Ondansetron, is a medication used to prevent nausea and vomiting caused by cancer chemotherapy, radiation therapy, or surgery. It is also useful in gastroenteritis. It has little effect on vomiting caused by motion sickness. Refer kDT 6/e p646